A widely used drug that suppresses cellular immunity, inhibits prostaglandin and leukotriene synthesis and increases the catabolism of IgG antibody is:
1. Cyclophosphamide
2. Prednisone
3. Cyclosporine
4. Infliximab

Correct answer: 2. Prednisone

Explanation: Glucocorticoids are powerful immunosuppressants. These inhibit both cellular and humoral immunity by: * Decreasing the recruitment of immune cells. * Catabolism of immunoglobulins. * Inhibiting the enzyme phospholipase A2 resulting in decreased production of PGs, LTs and TXs.